Gingivitis appears on the radiograph as
1. Loss of alveolar bone
2. Pocket formation
3. Change in bone trabeculations
4. No observed changes

Correct answer: 4. No observed changes